Cerebrospinal fever is due to
1. Streptococcus pyogenes
2. Staphylococcus aureus
3. Neisseria meningitides
4. None of the above

Correct answer: 3. Neisseria meningitides

Explanation: (C) Neisseria meningitides # Cerebrospinal meningitis and meningococcal septicaemia are the two main types of meningococcal disease.> Cocci spread from the nasopharynx to the meninges may be directly along the perineural sheath of the olfactory nerve, through the cribriform plate to the subarachnoid space or more probably through the blood stream.> In certain cases, the site of entry may be conjunctiva meningococcal purulent conjunctivitis occur.> On reaching the CNS, a suppurative lesion of meninges is set up, involving the surface of spinal cord, as well as the base and cortex of brain.